A 45-year-old farmer complains of headache. Neurologic examination reveals pronator drift and mild hemiparesis on the right side. The patient's eyes and head are turned to the left side, and papilledema is visible on the left side. The lesion is most likely in which of the following cortices?
1. Frontal
2. Insular
3. Occipital
4. Parietal

Correct answer: 1. Frontal

Explanation: Pronator drift and hemiparesis are frontal lobe signs. - Frontal eye field -> area no 8. Controls: Lateral conjugate gaze. Destruction - results in turning of the head and eyes toward the side of the lesion. Stimulation - results in contralateral turning of the eyes and head.